Long term tamoxifen therapy may cause :
1. Endometrium Ca
2. Ovary Ca
3. Cervix Ca
4. Vagina Ca

Correct answer: 1. Endometrium Ca

Explanation: Ans. is a i.e. Endometrium cancer Long term Tamoxifen therapy is a predisposing factor for Endometrial hyperplasia and cancers. For more details, refer answer 6 Also know : Malignancies caused by Long Term Tamoxifen therapy : Carcinoma endometrium - it is the most common carcinoma associated with it. Uterine sarcoma. Rarely liver cancer with long term high dose. Non Malignant effects of Tamoxifen on uterus : Endometrial hyperplasia Endometriosis Fibroid uterus Ovarian cysts Menstrual irregularities or Amenorrhea.